All are seen in cystitis except
1. Fever
2. Hematuria
3. Dysuria
4. Nocturia

Correct answer: 1. Fever

Explanation: Answer- A. FeverPatients with acute cystittis present with irritative voiding symptoms such as dysuria, frequenry, Nocturia and urgency.Low back and suprapubic pain, hematuria, and cloudy/foul smelling urine are also common symptoms.Fever and systemic symptoms are rate.